Mammography is not advised in
1. Pregnant females
2. Mastitis
3. Adolescent age group
4. All of the above

Correct answer: 4. All of the above

Explanation: Ans. D. All of the above* Mammography is a radiation emitting modality which is used to image the breast. In this technique breast tissue is compressed under 2 paddles. The imaging rests on the difference between fatty and glandular components on breast and less glandular the breast better is the imaging.* In pregnant females as this is an ionizing modality we don't advise it. The breasts are already engorged and congested in pregnant females and mastitis where compression will be painful.* In adolescent age group nearly 75% of breast tissue is glandular and hence many small abnormalities will be obscured. Generally, mammography is advised in females above age of 40 years.